Edema feet is not a feature of:
1. Conn syndrome
2. Hypothyroid
3. CHF
4. Nephrotic syndrome

Correct answer: 1. Conn syndrome

Explanation: Ans. A. Conn syndromea. In Conn syndrome there is profound hypokalemia that leads to nephrogenic diabetes insipidus.b. Although excess of sodium is reabsorbed due to high amount aldosterone, but excess of water is lost. Hence edema feet is not a feature in Conn syndrome.